Treatment of submandibular salivary gland ductcalculi is
1. Excision of submandicular gland
2. Opening the duct at the frenulum
3. Opening the duct and removal of calculus
4. Excision of gland and duct

Correct answer: 3. Opening the duct and removal of calculus